Which of the following is not a feature of hypertensive retinopathy
1. Silver wiring of aeriorles
2. Bonnet sign
3. Disc edema
4. Neovascularization

Correct answer: 4. Neovascularization

Explanation: Neovascularization is not a feature of hypertensive retinopathy Pathogenesis: Vasoconstriction & increased vascular permeability Sign * A:V ratio is decreased due to generalized narrowing of arteries * Salu's Sign ( Deflection of veins at A-V crossings), Bonnet's sign (Banking of veins), Gunn sign (tapering of veins), cotton wool spot * Copper wiring & Silver wiring is seen in later stage * Disc edema is seen in malignant hypertension * Elsching spot (choroidal infarcts)